Pancytopenia with cellular bone marrow is seen in all except:
1. Megaloblastic Anemia
2. MDS
3. PNH
4. G6PD deficiency

Correct answer: 4. G6PD deficiency

Explanation: Ans. (d) G6PD deficiency(Ref: Harrison 18th/pg Chapter 107)Pancytopenia with cellular bone marrow is not seen in G6PD deficiency, which is a type of hemolytic anemia